True about tongue cancer:
1. Most common type is adenocarcinoma
2. Cervical lymph node metastasis is universally present
3. MC site is on Lateral margin
4. Slurring of speech is a common complaint

Correct answer: 3. MC site is on Lateral margin

Explanation: Ans. (c) MC site is on Lateral marginRef. Bailey & Love 26th ed. 713-14TONGUE CANCER* MC site is middle of lateral border or ventral aspect of the tongue.* MC histological type is squamous cell carcinoma.* MC complaint: Mid-irritation of tongue.* MC associated risk factors are tobacco and alcohol.* MC variety is ulcerative.* ONLY 30% patients present with cervical node metastasis.* The intrinsic tongue musculature provides little restriction to tumour growth, thus it may enlarge considerably before producing symptoms.* Presents as painless mass or ulcer that fails to heal after minor trauma.